Stye is inflammation of ?
1. Zeis' gland
2. Meibomian gland
3. Glands of Manz
4. Lacrimal glands

Correct answer: 1. Zeis' gland

Explanation: Ans. is 'a' i.e., Zeis' gland